The most widely used substance dependence causing drug is:
1. Amphetamines
2. Opium
3. Cocaine
4. Cannabis

Correct answer: 4. Cannabis

Explanation: Substance dependenceis a cluster of physiological, behavioral and cognitive phenomenon in which the use of a substance or a class of substances taken on a much higher priority for a given individuals than other behaviors that once had greater value. Psychoactive substances or drugs of dependence and abuse are classifiedas: Ethanol Tobacco Opioids Cannabis Cocaine Amphetamines and others Hallucinogens -- LSD, phencyclidine Tranquillizers, sedatives and hypnotics -- barbiturates, benzodiazepines etc. Inhalants -- solvents, ethers etc. Miscellaneous: caffeine, Datura, analgesics etc. Alcohol remains the preferredagentover the years, however many newer psychoactive drugs have joined. These drugs are called as recreational drugs and includesmarijuana (ganja), LSD, amphetamine etc. VariousPreparations of Cannabissativaare: Bhang: also called as sidhi, patti, sabji. Ganja: is derived from flowering tops. Charas: also known as hashish or hash and is derived from resinous exudates of plant Majun: a sweet prepared with any of the above preparation Added. Marijuana